In the procedure of Laparoscopic myomectomy , the instrument is inserted into the exposed Fibroid to help extract it from the muscular uterine bed. Which of the following is the instrument used?
1. Myoma Morcellator
2. Laparoscopic Myoma Screw
3. Myomectomy clamp
4. Bonneys elevator

Correct answer: 2. Laparoscopic Myoma Screw

Explanation: The laparoscopic Myomectomy screw is much similar to the myomectomy screw used in open myomectomy. The 'Screw' is inserted into the fibroid specimen to provide traction and this helps in doing dissection around the fibroid to release it from the muscular grip of the uterine walls. Laparoscopic Myomectomy Screw Myomectomy screw used for Open Myomectomy